Not a visual communication :
1. Charts
2. Maps
3. Posters
4. Television

Correct answer: 4. Television

Explanation: Visual communication : Charts, Graphs, Postters, Maps, Tables.
Combined Audio visual aids : Telivision, Drama, Skits, Multimedia, Videotape system.